All are true about cyclosporine except
1. Given only orally
2. Given in renal transplant
3. Selectively inhibit T-lymphocytes proliferation
4. It causes rental toxicity

Correct answer: 1. Given only orally

Explanation: Cyclosporine is a peptide antibiotic that appears to act at an early stage in the antigen receptor-induced differentiation of T cells and blocks their activation. Cyclosporine may be given intravenously or orally- pictures were provided- both oral and iv forms Toxicities are numerous and include nephrotoxicity, hypertension, hyperglycemia, liver dysfunction, hyperkalemia, altered mental status, seizures, and hirsutism. Immunosuppressant for cadaveric transplantation of the kidney, pancreas, and liver, and it has proved extremely useful in cardiac transplantation REF Katzung 12e 986